Right heart border is formed by-
1. Superior vena cava
2. Superior vena cava + right atrium
3. Superior vena cava + right atrium + inferior vena cava
4. Right ventricle

Correct answer: 3. Superior vena cava + right atrium + inferior vena cava

Explanation: Ans. is 'c' i.e., Superior vena cava + right atrium + inferior vena cava o In PA view the right margin of heart is formed by superior vena cava, right atrium and inferior vena cava from above downward. The left margin is formed by aortic knuckle (Prominence due to arch of aorta), Pulmonary trunk, left auricle and left ventricle from above downward.o Right heart border is mainly formed by right atrium,o Left heart border is mainly formed by left ventricle.o Anterior border of heart is formed by (from above downwards) : (i) Ascending aorta; (ii) Pulmonary artery; and (ill) Right ventricleo Posterior border of heart is formed by (from above downwards) : (i) Pulmonary artery; (ii) Left atrium; and (iii) Left ventricle.